Which is not a contraindication of apicectomy?
1. Inadequate periodontal support
2. Horizontal apical root fracture
3. Lesions situated very close to important anatomical structures
4. None

Correct answer: 2. Horizontal apical root fracture

Explanation: There are few absolute contraindications for endodontic microsurgery. The following factors play amajor role in the surgical endodontics:

Inadequate periodontal support and active uncontrollable periodontal disease.
Poor restorability with a postendodontic restoration.
Lesions situated very close to important anatomical structures like the inferior alveolar nerve, lingual nerve, mentaI foramen, maxillary sinus when there is high risk of damage to these structures.
Systemic complications of patients like bleeding disorders, severe heart disease such as a patient recuperating from a myocardial infarction, and immunocompromised patients.
Practitioner’s skill and experience with micro-surgical treatment plays an important role.